Not true about meningococcal meningitis
1. Is gram negative organism
2. Carriers are the source of infection
3. Carriers are treated with penicillin
4. Transmitted via droplet infection

Correct answer: 3. Carriers are treated with penicillin

Explanation: Carriers are treated with Rifampicin.